Stratified cuboidal epithelium seen in
1. Ovaries
2. Cervix
3. Sweat glands ducts
4. Larynx

Correct answer: 3. Sweat glands ducts

Explanation: Stratified cuboidal epithelium is seen in large ducts of exocrine glands like sweat glands ,pancreas and salivary glands The ovarian surface epithelium, also called the germinal epithelium of Waldeyer, is a layer of simple squamous-to-cuboidal epithelial cells covering the ovary. The upper cervix (endocervix) is lined by a simple columnar epithelium that contains mucous-secreting cells. In contrast, the lower cervix (ectocervix) is lined by a stratified squamous epithelium. The transition point between these two epithelia is known as the external os. Larynx is lined by ciliated pseudostratified columnar epithelium except vocal cords (lined by stratified squamous epithelium). Inderbir Singh's textbook of Human Histology Seventh edition Pg no;48